The features of "Anankastic" personality disorder is
1. Procrastination
2. Lack of impulse control
3. Rigidity and stubbornness
4. Not bound to rules

Correct answer: 3. Rigidity and stubbornness

Explanation: Anankastic personality is also known as the obsessive-compulsive personality disorder. They are very rigid and stubborn. The other characteristics are *Also known as OCPD( obsessive compulsive personality disorder) *Perfectionism *Rigidity *Punctuality * indecisiveness *Conscientiousness *excessive attention to detail *extreme orderliness in one area of life other charecterstics are Excessive doubt & caution Preoccupation with details rules,makes a lot of lists and order. There is no risk of obsessive-compulsive disorder in future but there is a risk of depression. Reference: Kaplon and sadock, 11 th edition, synopsis of psychiatry, 11 th edition, pg no. 742